All are true regarding adenomyosis except
1. Enlarged uterus that rarely exceeds 12 weeks.
2. Spongy surface trabeculated with focal areas of hemorrhage.
3. Glands found within myometrium originate from stratum functionalis.
4. Ectopic rests of endometrium located deep within the myometrium.

Correct answer: 3. Glands found within myometrium originate from stratum functionalis.

Explanation: Foci of glands and stroma found in myometrium in Adenomyosis originate from basalis layer.